Which of the following is a compound condylar joint?
1. Knee
2. TM joint
3. Wrist
4. Elbow

Correct answer: 1. Knee

Explanation: Knee joint has more than two bones participating (hence Compound joint). It is formed by lateral and medial femorotibial and the femoropatellar joints It is Compound synovial joint incorporating two condylar joints between the condyles of the femur and tibia and one saddle joint between the femur and the patella TM joint is a condylar joint but it involves only 2 bones( not a compound joint) Wrist joint is an ellipsoid synovial joint and elbow is a hinge synovial joint Ref: Gray's39e/p185-210